Most common accelerator in gypsum is
1. NaF
2. Aluminosilicate
3. Potassium sulphate
4. Potassium fluoride

Correct answer: 3. Potassium sulphate